Deficiency of which vitamin causes excretion of xantheurenic acid in urine ?
1. Folic acid
2. Pyridoxin
3. Niacin
4. Vitamin B12

Correct answer: 2. Pyridoxin

Explanation: Ans. is 'b' i.e., Pyridoxin